Apple jelly nodules are seen in?
1. Lupus vulgaris
2. Scrofuloderma
3. Chancre
4. Atypical mycobacterial infection

Correct answer: 1. Lupus vulgaris

Explanation: Ans. (a) Lupus vulgarisRef: Rook's 8/e, p 31.14